Which is not a property of resin ionomer restorative material
1. It is a dual cure polymerization system
2. It is radiolucent
3. It releases fluoride
4. It adheres to the dentin

Correct answer: 2. It is radiolucent